Superficial partial thickness burn is caused due to involvement of:
1. Epidermis
2. Papillary dermis
3. Reticular dermis
4. Dermis

Correct answer: 2. Papillary dermis

Explanation: Ans. b. Papillary dermisBurns are classified as first-, second-, or third-degree, depending on how deep and severe they penetrate the skin's surface.First-degree (superficial) burns: First-degree burns affect only the epidermis. The burn site is red, painful, dry, and with no blisters. Mild sunburn is an example. Long-term tissue damage is rare and usually consists of an increase or decrease in the skin color.Second-degree (partial thickness) burns: Second-degree burns involve the epidermis and part of the upper (papillary) dermis layer of skin. The burn site appears red, blistered, and may be swollen and painful.Third-degree (full thickness) burns: Third- degree burns destroy the epidermis and dermis and may go into the subcutaneous tissue. The burn site may appear white or charredFourth degree burns: Fourth degree burns also damage the underlying bones, muscles, and tendons. There is no sensation in the area since the nerve endings are destroyed.SJS usually associated with drug history.